Topic: Neuromuscular blockers 1. Fastest acting non depolarising blocker is Rocuronium 2. Longest acting neuromuscular blocker is Pancuronium 3. Vagal stimulation is caused by succinylcholine 4. Most potent skeletal muscle relaxant is Doxacurium 5. Shortest acting non depolarising neuromuscular blocker is Mivacurium
1. 1, 2, 3 - True & 4, 5 - False
2. 1, 2, 3, 5 - True & 4 - False
3. 1, 2 - True & 3, 4, 5 - False
4. 1, 2, 3, 4, 5 - True

Correct answer: 4. 1, 2, 3, 4, 5 - True

Explanation: Among the non depolarising neuromuscular blockers Rocuronium has the fastest onset of action ( 90 seconds). Mivacurium is a short acting non depolarising muscle relaxant that is rapidly hydrolysed by plasma pseudocholinesterase. Pancuronium is a potent long acting neuromuscular blocking drug with both vagolytic and butyrylcholinesterase inhibitng properties. Doxacurium is 2.5 to 3 times more potent than pancuronium another long acting non depolarizing agent. Succinylcholine a depolarizing neuromuscular blocker when given repeatedly or as a constant infusion cause vagal stimulation and bradycardia.